A patient complains of difficulty breathing through his nose and bony pain in his cheeks, near his nose. Physical examination and CT of the head reveal mass lesions involving the nose, pharynx, and sinuses. CT-guided biopsy demonstrates a non- keratinizing, squamous cell carcinoma. Which of the following disorders is associated with the same oncogenic virus that is the likely cause of this patient's cancer?
1. Adult T-cell leukaemia
2. Burkitt's lymphoma
3. Cervical carcinoma
4. Hepatocellular carcinoma

Correct answer: 2. Burkitt's lymphoma

Explanation: The disease is nasopharyngeal carcinoma, which is associated with the Epstein-Barr Virus (EBV). This virus is also associated with the African form of Burkitt's lymphoma that characteristically involves the jaw. HTLV-1, or human T-lymphocyte virus, is associated with adult T-cell leukemia. HPV, or human papillomavirus, is associated with cervical carcinoma, penile carcinoma, and anal carcinoma. Hepatitis B virus (HBV) is associated with hepatocellular carcinoma. HHV 8, a member of the herpes family, is associated with Kaposi's sarcoma. Ref: Ray C.G., Ryan K.J. (2010). Chapter 14. Herpesviruses. In C.G. Ray, K.J. Ryan (Eds), Sherris Medical Microbiology, 5e.